Muscles involved in centric relation
1. Temporalis & rnasseter
2. Medial and lateral pterygoids
3. Temporalis and lateral pterygoid
4. None of the above

Correct answer: 1. Temporalis & rnasseter